The therapeutic effect of sulfasalazine in ulcerative colitis is exerted by :
1. Inhibitory action of the unabsorbed drug on the abnormal colonic flora
2. Breakdown of the drug in colon to release 5–amino-salicylic acid which suppresses inflammation locally
3. Release of sulfapyridine having antibacterial property
4. Systemic immunomodulatory action of the drug

Correct answer: 2. Breakdown of the drug in colon to release 5–amino-salicylic acid which suppresses inflammation locally